The most common type of supracondylar fracture is
1. Neutral
2. Flexion
3. Extension
4. Lateral

Correct answer: 3. Extension

Explanation: C i.e. Extension